Which is most likely complication of IUD:
1. Hypofibrinogenemia
2. Sterility
3. Cervical tear
4. None of the above

Correct answer: 1. Hypofibrinogenemia

Explanation: Complications of IUD

Psychological upset.
Uterine Infections.
Blood coagulation disorder: If the fetus is retained for more than 4 weeks (as occurs in 10–20%) there is a possibility that thromboplastin from the dead fetus enters maternal circulation and leads to disseminated intravascular coagulopathy (DIC).
During labor: Uterine inertia, retained placenta and PPH. Hypofibrinogenimia occurs due to gradual absorption of thromboplastin, liberated from the dead placenta and decidua, into the maternal circulation.